In IgA nephropathy (Berger's disease), there are -
1. Subepithelial deposits
2. Subendothelial deposits
3. Mesangial deposits
4. Basement membrane deposits

Correct answer: 3. Mesangial deposits